Most common cause of upper GI bleed is ?
1. Esophageal varices
2. Gastric erosion
3. Peptic ulcer
4. Mallory weiss tear

Correct answer: 3. Peptic ulcer

Explanation: Davidson's principles and practice of medicine 22nd edition. *peptic ulcer is the most common cause for upper GI bleed (35- 50%)